Epidermophyton does not infect
1. Skin
2. Hair
3. Nails
4. Infects all of the above

Correct answer: 2. Hair

Explanation: Epidermophyton infects skin & nails
Microsporum infects skin & hair
Trichophyton infects skin, hair & nails.